All of the following are milk borne diseases except:
1. Brucellosis
2. Pasturella
3. Streptococcal infections
4. Viral hepatitis

Correct answer: 2. Pasturella

Explanation: Ans: B (Pasturella) Ref: Park 22nd edition pg 607Explanation:MILK BORNE DISESASEInfections of animal - transmitted to man:TuberculosisBrucellosisStreptococcal infectionsStaphylococcal enterotoxin poisoningSalmonellosisQ feverCow poxFoot and mouth diseaseAnthraxLeptospirosisTick-borne encephalitisInfections primary to man - transmitted through milk:Diarrhoeal diseases:Tvphoid/Para-typhoid feversShigellosisCholeraE. ColiNon-Diarrhoeal diseases:Streptococcal infectionsStaphylococcal food poisoningDiphtheriaTuberculosisEnterovirusesViral hepatitis.